The second largest artery to the stomach is the right gastroepiploic artery. It is a branch of:
1. Right Hepatic artery
2. Gastroduodenal artery
3. Hepatic artery
4. Superior mesenteric artery

Correct answer: 2. Gastroduodenal artery

Explanation: The second largest artery to the stomach is the right gastroepiploic artery, which arises consistently from the gastroduodenal artery behind the first portion of the duodenum. The greater curvature is supplied by the right gastroepiploic artery and the left gastroepiploic artery (a branch of the splenic artery). Ref: Dempsey D.T. (2010). Chapter 26. Stomach. In F.C. Brunicardi, D.K. Andersen, T.R. Billiar, D.L. Dunn, J.G. Hunter, J.B. Matthews, R.E. Pollock (Eds), Schwartz's Principles of Surgery, 9e.